X - linked inheritance of alport's syndrome is due to mutation of _________
1. COL4A5 gene
2. COL4B6 gene
3. COL3A5 gene
4. COL4A3 gene

Correct answer: 1. COL4A5 gene

Explanation: Mutation of COL4A5 gene ⇒ X - linked inheritence
Mutation of COL4A3 ,COL4A4 gene ⇒ Autosomal inheritence